Cow's milk contains what % proteins –
1. 1.1
2. 3.2
3. 3.5
4. 4.1

Correct answer: 2. 3.2